Oedepius complex has been described by:
1. Plato
2. Socartes
3. Freud
4. Huxley

Correct answer: 3. Freud

Explanation: C. i.e. Freud